Which of the following statements is false regarding Focal nodular hyperplasia
1. AFP levels normal
2. Associated with use of anabolic steroids and contraceptives
3. Central stellate scar is characteristic
4. Can progress to hepatocellular carcinoma

Correct answer: 4. Can progress to hepatocellular carcinoma

Explanation: FNH do not have malignant potential.